Wilm's tumor is associated with all except:
1. Hemihypertrophy
2. Aniridia
3. Hypertension
4. Bilateral polycystic kidney

Correct answer: 4. Bilateral polycystic kidney

Explanation: . Bilateral polycystic kidney